Intra uterine hydronephrosis of 32-34 weeks-management?
1. Intrauterine drainage
2. Wait until 3 weeks
3. Immediate delivery
4. Require serial USG and other associated anomalies

Correct answer: 4. Require serial USG and other associated anomalies

Explanation: Ans. is `d' i.e., Require serial USG and other associated anomalies Antenatal hydronephrosis (ANH) is transient and resolves by the third trimester in almost one-half cases. The presence of oligohydramnios and additional renal or extrarenal anomalies suggests significant pathology. o All patients with ANH should undergo postnatal ultrasonography The intensity of subsequent evaluation depends on anteroposterior diameter (APD) of the renal pelvis and/or Society for Fetal Urology (SFU) grading. Patients with postnatal APD exceeding 10 mm and/or SFU grade 3-4 should be screened for upper or lower urinary tract obstruction and vesicoureteric reflux. Surgery is considered in patients with increasing renal pelvic APD and/or an obstructed renogram with differential renal function <35-40% or its subsequent decline.